Human anatomical wastes such as body parts are disposed off in:
1. Yellow
2. Black
3. Red
4. Blue

Correct answer: 1. Yellow

Explanation: Categories of Bio medical wastes (BMW) (Schedule I):